Amount of Protein present in 100ml of breast milk is
1. 2.2 g
2. 1.1 g
3. 0.55g
4. 3.3g

Correct answer: 2. 1.1 g

Explanation: Amount of Protein present in 100ml of breast milk is: 1.1 g/dl